The most common histologic type of thyroid cancer is
1. Medullary type
2. Follicular type
3. Papillary type
4. Anaplastic type

Correct answer: 3. Papillary type

Explanation: Papillary carcinoma accounts for 80% of all thyroid malignancies in iodine-sufficient areas and is the predominant thyroid cancer in children and individuals exposed to external radiation." The incidence of primary malignant tumours of the thyroid gland Also, remember - Thyroid carcinoma is the most common malignancy of the endocrine system Ref : Schwartz 9/e p1361